Dohle bodies are seen in
1. Multiple myeloma
2. May-hegglin anomaly
3. Waldenstrom macroglobulinemia
4. Lymphoma

Correct answer: 2. May-hegglin anomaly

Explanation: Dohle bodies are patches of dilated endoplasmic reticulum that appear as sky-blue cytoplasmic "puddles.*. Seen in burns, infections, physical trauma, neoplastic diseases, May-Hegglin anomaly etc.*Multiple myeloma and Waldenstrom's macroglobulinemia- Both are plasma cells dyscrasias. These plasma cells may have intracytoplasmic inclusion called as Russel bodies and intranuclear inclusions called Dutcher bodies.